Duffy antigen is associated with:
1. Cluster of Differentiation 123 (CD123)
2. Cluster of Differentiation 234 (CD234)
3. Cluster of Differentiation 345 (CD345)
4. Cluster of Differentiation 456 (CD456)

Correct answer: 2. Cluster of Differentiation 234 (CD234)

Explanation: Duffy antigen/chemokine receptor (DARC), also known as Fy glycoprotein (FY) Associated with CD234 (Cluster of Differentiation 234) Duffy antigen is located on the surface of RBCs. Glycosylated membrane protein and a non-specific receptor for several chemokines. Receptor for the human malarial parasites Plasmodium vivax and Plasmodium knowlesi. Polymorphisms in this gene are the basis of the Duffy blood group system.